Lateral rectus is supplied by:
1. III cranial nerve
2. IV cranial nerve
3. V cranial nerve
4. VI cranial nerve

Correct answer: 4. VI cranial nerve

Explanation: Lateral rectusIt control abduction andIt is the only muscle innervated by the abducens nerve,cranial nerve VI.